True about Mirena:
1. Progestrone containing IUCD
2. Contain desogestrol
3. Causes endometrial hyperplasia
4. No effect on Menses

Correct answer: 1. Progestrone containing IUCD

Explanation: Ans: A (Progestrone containing IUCD); Decreases menstural blood flow) MIRENA Shaws 15th/304-05Mirena IUCD is employed to control menorrhagiaIt directly suppresses endometrium with minimal side effectsDosage: 52 mg LNG